All of the following are indications for eicosanoids or their inhibitors EXCEPT:
1. Abortion
2. Essential hypertension
3. Patent ductus arteriosus
4. Transposition of the great arteries

Correct answer: 2. Essential hypertension

Explanation: PGE1 derivatives like misoprostol are used for abortion. PG inhibitors like indomethacin and ibuprofen are used for treatment of PDA. PGE1 derivative alprostadil is used to keep the ductus arteriosus open before surgery of patient with transposition of great vessels. PG like iloprost are indicated in pulmonary hypertension but not in essential systemic hypertension.